Which of the following type of necrosis is seen in blood vessel
1. Coagulative necrosis
2. Liquefactive necrosis
3. Caseous necrosis
4. Fibrinoid necrosis

Correct answer: 4. Fibrinoid necrosis

Explanation: Fibrinoid Necrosis:- * Can occur in vasculitis. * Fibrinoid necrosis can be seen in Polyarteritis nodosa, Aschoff bodies and Malignant hypertension. * Fibrinoid necrosis can be highlighted by Martius Scarlet Blue (MSB)Ref:- Robbins Basic Pathology 10th Edition; Pg num:- 36,37